Sullivan index is an index for -
1. Life free of disability
2. Life expectancy
3. Earning capacity
4. Population index

Correct answer: 1. Life free of disability

Explanation: Ans. is 'a' i.e., Life free of disability